One of the potential microsomal enzymes inhibitor drug is:
1. Phenobarbitone
2. Griseofulvin
3. Sodium valproate
4. Phenytoin

Correct answer: 3. Sodium valproate